Among the principles of Primary Health Care, the one which is NOT included is -
1. Intersectoral coordination
2. Appropriate technology
3. Equitable distribution
4. Information, Education and Communication

Correct answer: 4. Information, Education and Communication

Explanation: Ans. is 'd' i.e., Information, Education and Communication